Bronchospasm can be precipitated by:
1. Adrenaline
2. Propranolol
3. Atropine
4. Salbutamol

Correct answer: 2. Propranolol